Which is the nerve involved in case of ape thumb deformity -
1. Median
2. Radial
3. Ulnar
4. Axillary

Correct answer: 1. Median

Explanation: Ans. is 'a' i.e., Median Deformity or disorderNerve involvedo Wrist dropo Foot dropo Claw hand (complete)o Ulnar ciawr hando Ape thumb deformity'o Pointing indexo Policeman tip deformityo Winging of scapulao Meralgia parestheticao Radial nerveo Common peroneal nerve (Lateral popliteal)o Ulnar + Median nerveo Ulnar nerveo Median nerveo Median nerveo Erb's Palsy (Brachial plexus)o Long thoracic nerve (nerve to SA)o Lateral cutaneous nerve of thigh